Which among the following can be seen as a component of conversion disorder?
1. Pseudoseizures
2. Pseudodementia
3. Depersonalization
4. Derealization

Correct answer: 1. Pseudoseizures

Explanation: Ans. A. PseudoseizuresIn conversion disorder Pseudoseizure can occur.The most frequent conversion disorder symptoms are-* Blindness* Mutism* Paralysis.The most widespread sensory symptoms particularly of the -extremities are-* Anaesthesia* ParesthesiaOther sensory symptoms consist of-* Deafness* Tunnel vision and blindness.Motor symptoms related with it includes-* Abnormal movements* Gait disturbance* Paralysis and weakness.One gait disturbance observed in this is ataxia abasia, which is a wildly ataxic, staggering gait accompanied by gross, irregular, jerky truncal movements as well as thrashing and waving arm movements.